Diuretic used in essential hypertension is -
1. Hydrochlorthiazide
2. Amiloride
3. Furosemide
4. Acetazolamide

Correct answer: 1. Hydrochlorthiazide

Explanation: Low dose thiazide diuretics may be used alone or in combination with other anti hypertensive agents . mechanism of action:they inhibit the Na/cl pump in distal convoluted tubule and increase sodium excretion. Drugs used are :Hydrochlorthiazide,chlorthalidone(long acting and more potent than hydrochlorthiazide but potassium loss is greater. ) They provide additive bp lowering effects with ace inhibitors ,arb's, beta blockers. Addition of diuretic to calcium channel blocker is less effective . Ref:Harrison 20 th edition pg no 1901